Sickle-shaped extension of blind spot is known as
1. Down's sign
2. Bjerrum's sign
3. Seidel's sign
4. Baring of blind spot

Correct answer: 3. Seidel's sign

Explanation: Seidel's scotoma: With the passage of time paracentral scotoma joins the blind spot to form a sickle shaped scotoma known as Seidel's scotoma. Ref:-A K KHURANA; pg num:-219